Drug among the following causing cataract is
1. Amikacin
2. Dexamethasone
3. Chloramphenicol
4. Penicillin

Correct answer: 2. Dexamethasone

Explanation: Drugs causing cataract:i. Coicosteroidsii. Phenothiazines and other antipsychoticsiii. Topical mioticsiv. Amiodaronev. StatinsRef. Aravind FAQs in Ophthalmology(first edition) Pg-310